In ideal intercuspation, maxillary canine articulates with:
1. Mandibular canine and 1st pm
2. Mandibular canine and lateral incisor
3. Mandibular 1st premolar and 2nd premolar
4. Mandibular canine only

Correct answer: 1. Mandibular canine and 1st pm